Subperiosteal erosion is seen in:
1. Scurvy
2. Hyperparathyroidism
3. Hypoparathyroidism
4. Rickets

Correct answer: 2. Hyperparathyroidism

Explanation: Ans. Hyperparathyroidism